Dental Plaque adheres to tooth surface by
1. Dextran
2. Epithelial cells
3. Bacteria
4. Sucrose

Correct answer: 1. Dextran